Thimble pitting of nails is seen in
1. Psoriasis
2. Pemphigus
3. Lichen planus
4. Alopecia areata

Correct answer: 1. Psoriasis

Explanation: Ans. is 'a' i.e., Psoriasis